Posterior mediastinal tumours -
1. Neuroblastoma
2. Bronchogenic cyst
3. Neuroenteric cyst
4. All

Correct answer: 4. All

Explanation: Ans. is 'a' i.e. Neuroblastoma; 'b' i.e. Bronchogenic cyst; 'c' i.e. Neuroenteric cyst Masses/Lesions Location Neuroblastoma Posterior mediastinum Bronchogenic cyst Middle and post. mediastinum Neuroenteric cyst Middle and post mediastinum (Ref Schwartz, Grainger) Lymphoma All compartments No clue about Anterior thoracic meningioma